A 12 year old boy is brought to emergency by his parents with complaints of severe polydipsia and polyuria.Laboratory examination reveals a purple ring when a test was done in her urine.Which of the following is the most likely source of this compound which is positive in this patient?
1. Gluconeogenesis
2. Fatty acid breakdown
3. Protein breakdown
4. Side chain of cholesterol

Correct answer: 2. Fatty acid breakdown

Explanation: The test is shown in the figure is Rothera's test in which a purple ring is formed at the top,if ketone bodies are positive. Principle Of The TestAcetoacetate or Acetone in presence of glycine, reacts with sodium nitroprusside to form a lavender-purple coloured complex. Disodium hydrogen phosphate provides the optimum pH for the reaction and lactose enhances the colour Fatty acid breakdown provides Acetyl coA that serves as a precursor for ketone bodies. In Diabetes mellitus,glucose utilization is impired due to absolute or relative deficiency of insulin. Fatty acid breakdown occurs to provide energy and the excessive Acetyl coA enters the pathway of ketogenesis. Reference: Harpers illustrated biochemistry 30th edition